A patient has been diagnosed with systemic sclerosis. He has the presence of anti RNA polymerase III antibody. Which of the following is more common in this patient?
1. Reduced risk of scleroderma renal crisis
2. Acute onset of disease
3. Reduced risk of malignancy
4. Increased risk of pulmonary hypertension

Correct answer: 2. Acute onset of disease

Explanation: Systemic sclerosis (commonly called scleroderma) is characterized by: Chronic inflammation thought to be the result of autoimmunity Widespread damage to small blood vessels, and progressive interstitial and perivascular fibrosis in the skin and multiple organs.The patient having anti RNA polymerase III antibody, these patients will be at high risk of development of three conditions in the body: -R - Renal crisis N - NeoplasmA - Acute onset of the disease. 1st statement is false. These patients have Increased risk of scleroderma renal crisis. 2nd statement is true -Acute onset of the disease 3rd statement is false - These patients have Increased risk of malignancy. Increased risk of pulmonary hypertension is associated with the presence of anticentromere protein antibody.